Caudal end of neuropore closes by
1. 24th day
2. 27th day
3. 32nd day
4. 40th day

Correct answer: 2. 27th day